Which of the following aminoglycoside is cochleotoxic:
1. Kanamycin
2. Streptomycin
3. Gentamycin
4. Minocycline

Correct answer: 1. Kanamycin

Explanation: Ref: Goodman & Gillman 13th ed. P 1044-45* All aminoglycosides have the potential to produce reversible and irreversible vestibular, cochlear, renal toxicity and neuromuscular blockade.* Aminoglycoside-induced ototoxicity may result in irreversible, bilateral, high-frequency hearing loss or vestibular hypofunction.* A high-pitched tinnitus often is the first symptom of cochlear toxicity.* Drugs like amikacin, neomycin and kanamycin are specifically cochleotoxic > vestibulotoxic.* Gentamicin, streptomycin is vestiblar > cochleotoxic* Tobramycin: Cochlear = Vestibular toxicity both.